Which of the following causes of acute pancreatitis can cause recurrent bouts without any obvious pathology
1. Sphincter Oddi dysfunction
2. Pancreas divisum
3. Hypertriglyceridemia
4. All the above

Correct answer: 4. All the above

Explanation: Ans. is 'd' i.e., All the above Causes to consider in patients with recurrent bouts of acute pancreatitis without an obvious etiology* Occult disease of the biliary tree or pancreatic ducts, especially microlithiasis, sludge* Drugs* Hypertriglyceridemia* Pancreas divisum* Pancreatic cancer* Sphincter of Oddi dysfunction* Cystic fibrosis* Idiopathic